Triangular space between clitoris and hymen ?
1. Fourchette
2. Fossa navicularis
3. Vestibule
4. Labia minora

Correct answer: 3. Vestibule

Explanation: Ans. is 'c' i.e., Vestibule Female genitals :? The labia mojora are the two elongated folds of skin projecting downwards and backwards from the mons veneris. The labia minora are two thin folds of skin just within labia majora. The lower portions of labia called fourchette. The depression between fourchette and the vaginal orifice is called fossa navicularis. The Vestibule is the triangular surface which extends from clitoris (above) to hymen (below) and labia minora (laterally). Urethral opening is 2.5 cm behind the clitoris, and immediately in front of vaginal opening. Vulva includes mons veneris, clitoris, labia majora, labia minora, vestibule, hymen and urethral opening.